Space of Disse is seen in
1. Bone
2. Lymph node
3. Spleen
4. Liver

Correct answer: 4. Liver

Explanation: Histology of liver * The perisinusoidal space (or space of Disse) is a narrow gap between a plate of hepatocytes and a sinusoid. * The width of this perisinusoidal space is 0.2-0.5 micrometre. * Microvilli of hepatocytes, stellate cells, interstitial fluid and collagen fibres are the major constituents of this space. Ref:- Gray's Anatomy 41st Edition; Pg Num:- 1170